Intra arterial injection of a drug will produce
1. Mottling of limb
2. Presence of compartment syndrome
3. Absence of complement of pulse in lower limb
4. all the above

Correct answer: 4. all the above

Explanation: Ans: d (all the above) Ref: style="font-size: 1.04761904761905em; font-family: Times New Roman, Times, serif; margin: 0 0 0 8px; text-indent: 0">Intra arterial injection Clinical featuresAn immediate severe burning pain radiates distally from the site of injection. It may continue undiminished, persisting as a painful burning sensa-tion for many hours. There may be decreased pulsation and development of gangrene. Various additional changes may occur depending on the severity of the injury. The extremities may becomes markedly edematous and cadaveric leading to compartment syndrome.